1, 25 (OH)2 Cholecalciferol is formed in-
1. Skin
2. Liver
3. Spleen
4. Kidney

Correct answer: 4. Kidney

Explanation: 25-hydroxy Cholecalciferol is formed in liver Whereas 1, 25 (OH)2 Cholecalciferol is formed in kidneys. Additional edge on synthesis of Vitamin D: Activation of 7-dehydro cholesterol by UV light in skin produces Cholecalciferol 25-hydroxylation in liver to form 25-hydroxy cholecalciferol 1-alpha- hydroxylation in kidneys to form 1,25 dihydroxy cholecalciferol PTH activates 1-alpha hydroxylase of kidneys